A 40 year old male Raghu, is brought to psychiatric OPD with complaints of 6 months of odd and disorganized behavior. He also hears voices commenting about him. The likely diagnosis is
1. Schizophrenia
2. Delusional disorder
3. Major depression
4. Conversion disorders

Correct answer: 1. Schizophrenia

Explanation: Patient has auditory hallucinations and disorganized behavior, 2 out of 5 symptoms are present according to diagnostic criteria. And the symptoms are present for past 6 months, which suggests of schizophrenia.